Which of the following is not a seronegativespondyloarthropathy -
1. Psoriatic arthritis
2. Ankylosing spondylitis
3. RA
4. Reiters arthritis

Correct answer: 3. RA

Explanation: Ans. is 'c' i.e., RA Seronegative spondyloartropathies The seronegative spondyloarthropathies are a group of disorders that share certain clinical features and genetic associations. The word seronegative referres to the absence of rheumatoid factor in this group of disorders. The seronegative spondyloarthropathies include ? Ankylosing spondylitis Reactive arthritis - Reiter syndrome and enteritis associated arthritis Psoriatic arthritis Arthritis associated with inflammatory bowel disease, i.e. enteropathic arthritis.